This patient developed progressive thickening of the skin following failure of a transplanted kidney. What is the most likely diagnosis?
1. Eosinophilic fasciitis
2. Myxedema
3. Nephrogenic fibrosing dermopathy
4. Scleroderma

Correct answer: 3. Nephrogenic fibrosing dermopathy

Explanation: Answer C. Nephrogenic fibrosing dermopathyThe patient was diagnosed with nephrogenic fibrosing dermopathy, an uncommon sclerosing skin condition that has been associated with the use of gadolinium in patients with renal failure.